Which of the following neurons predominantly fire during forceful expiration?
1. Dorsal group of neurons
2. Ventral group of neurons
3. Pneumotaxic center
4. Chemoreceptors

Correct answer: 2. Ventral group of neurons

Explanation: Ventral group of neurons fire, when forceful expiration is needed like heavy excercise.. Dorsal group of neurons control the normal inspiration and expiration. Pneumotaxic center limits the duration of inspiration. Respiratory centers Resoiratory Center Component Primary Function Pre-Botzinger complex Pacemaker cells of spontaneous or automatic breathing Dorsal Respiratory Group (DRG) Respiratory rhythm generator (inspiratory ramp signal) Ventral Respiratory group (VRG) Overdrive mechanism Pneumotaxic center Controls the 'Switch off' point of inspiratory ramp signal Apneustic center Delays switch off signal-promotes inspiration Vagi Inhibits inspiratory discharge Ref: Guyton and Hall 13th edition Pgno: 540